Oxytocin infusion should be discontinued if there are more than ----- contractions consistently every 15minutes
1. 3
2. 5
3. 7
4. 10

Correct answer: 3. 7

Explanation: In general, oxytocin should be discontinued if the number of contractions persistswith a frequency of more than five in a 10-minute period or more than seven in a15-minute period or with a persistent nonreassuring fetal heart rate pattern.When oxytocin is stopped, its concentration in plasma rapidly falls because of thehalf-life is approximately 3 to 5 minutes.(Ref: William's Obstetrics; 25th edition)